Initiation and Termination of a sequence of intron :
1. GU,AG
2. AG,GU
3. GA,GU
4. UG,AG

Correct answer: 1. GU,AG

Explanation: The sequence of the intron is unique. It always starts with GU and ends with AG Any mutation in these sequences will lead to defective splicing. e.g. b thalassemia.